Cartilage of second arch is
1. Meckels cartilage
2. Reicherts cartilage
3. Pharyngeal cartilage
4. Thyroid cartilage

Correct answer: 2. Reicherts cartilage